"Bilateral Compressed and wingless body, conical head, short piercing mouth parts and three pairs of strong legs" is the description of
1. Rat flea
2. Soft tick
3. Hard tick
4. Mite

Correct answer: 1. Rat flea

Explanation: Ans. a (Rat flea) (Ref. Park Textbook of PSM 22nd/pg. 712)ARTHROPODS OF MEDICAL INTEREST InsectaArachnidaCrustacea1Body divisionsHead, Thorax, AbdomenCephalothorax and abdomen (sometimes no division)Cephalothorax and abdomen2Legs3 pairs4 pairs5 pairs3Antennae1 pairNone2 pairs4WingsOne or two pairs, some winglessNoneNone5Where foundOn landOn landIn water -# Rat flea belongs to class Insecta which has 3 pairs of legs.# Option 2, 3, 4 belongs to class Arachnida which has 4 pairs of legs.# Cyclops belongs to class Crusteacea which has 5 pairs of legs.ClassIncludesClass Insecta includes# Mosquito, # Flies (houseflies, sand flies, tsetse flies, black flies) # Human lice # Fleas # Reduviid bugsClass Arachnida includes# Ticks (hard & soft tick), # Mites (trombiculid, itch mite)Class Crusteacea includes# Cyclops.